The most important prognosis factor of carcinoma breast is
1. Lymph node involvement
2. DNA content of tumor
3. Histologic subtype
4. Tumor grade

Correct answer: 1. Lymph node involvement

Explanation: Spread to axillary nodes is the most important prognostic indicator. Age: Younger the age worser the prognosis. Stage I and II has got better prognosis. Sex: Carcinoma male breast has got worser prognosis compared to female breast. Because of early spread in carcinoma male breast. Atrophic scirrhous has got best prognosis. Medullary carcinoma has got better prognosis than scirrhous carcinoma because of lymphocytic infi ltration. Invasive carcinoma has got worser prognosis. Inflammatory carcinoma breast has worst prognosis. Ref; (page no;559 ) 5th edition of SRB'S manual of Surgery .